Natural killer cells attacks which of the following cells
1. Cells which express MHC1
2. MHC cells which express MHC2
3. Cells which are not able to express MHC1
4. Cells which are not able to express MHC

Correct answer: 3. Cells which are not able to express MHC1

Explanation: • The NK cells express activating and inhibitory receptors. The functional activity of the NK cells is regulated by a balance between signals from these receptors. Normal cells are not killed because inhibitory signals from normal MHC class I molecules override activating signals. The ability of NK cells to kill target cells is inversely related to target cell expression of MHC class I moleculesQ. If virus infection or neoplastic transformation disturbs or reduces the expression of class I MHC molecules, inhibitory signals delivered to NK cells are interrupted and lysis occurs.